Investigation of choice to assess cardiotoxicity of anthracycline drugs is
1. Echocardiogram
2. Myocardial biopsy
3. ECG
4. CT angiography

Correct answer: 1. Echocardiogram

Explanation: The best noninvasive method to study the LVEF (left ventricular ejection fraction) is Multiple Gated (MUGA or gated blood pool imaging) radioneuclide scan using Stannous pyrophosphate to label RBC’s and 9mTC pertechnetate for imaging. Altered Ejection Fraction is a contraindication for anthracycline drugs. However Echocardiogram is the investigation of choice because of its wider availability, simpler and reasonable accuracy in determining LVEF. The best investigation is myocardial biopsy.